All the following mechanisms occur in a neonate for heat production, EXCEPT:
1. Shivering
2. Breakdown of brown fat with adrenaline secretion
3. Universal flexion like a fetus
4. Cutaneous vasoconstriction

Correct answer: 1. Shivering

Explanation: Non shivering thermogenesis or breaking of brown fat is the main method of heat production in the newborn. Shivering which is a major mechanism of heat production in adults is rarely seen in newborn . In newborns, brown fat is located in the upper back and neck, mediastinum and around the kidneys. They contain high store of triglycerides which are broken down during metabolic process to produce glycerol and fatty acids which in turn releases heat. Mechanisms of heat production in newborn are: Newborn's mechanism of heat production is primarily through increased metabolic process. Cold stress increases the metabolism and thus requiring an increase in oxygen and calorie consumption. Vasoconstriction of blood vessels. Increase in metabolic rate and muscular activity. Non shivering thermogenesis Ref: Universal Newborn Hearing Screening edited by Lynn G. Spivak page 121, Examination of the Newborn: An Evidence Based Guide By Anne Lomax page 56.